A person when asked what are the similarity between a chair and a table, he says that both has four legs. This is?
1. Concrete thinking
2. Abstract thinking
3. Neologism
4. None

Correct answer: 1. Concrete thinking

Explanation: This is an example of concrete thinking because he is unable to state that: - both are the items of furniture i.e. abstract thinking. Concrete thinking is the superficial type of thinking. Abstract attitude (categorical attitude) This is a type of thinking that includes voluntarily shifting one's mindset from a specific aspect of a situation to the general aspect. It involves keeping in mind different simultaneous aspects of a situation while grasping the essentials of the situation. It can involve breaking a situation down into its parts and isolating them voluntarily Planning ahead ideationally; and/or thinking or performing symbolically. A characteristic of many psychiatric disorders is the person's inability to assume the abstract attitude or to shift readily from the concrete to the abstract and back again as demanded by circumstances. Intellectualization A mental mechanism in which the person engages in excessive abstract thinking to avoid confrontation with conflicts or disturbing feelings.